Dying declaration comes under?
1. Section 32 IPC
2. Section 32 IEA
3. Section 60 IEA
4. 291 CrPC

Correct answer: 2. Section 32 IEA

Explanation: Ans. (b) Section 32 IEARef. Textbook of forensic medicine and Toxicology by Krishan, p 7-8, Textbook on The law of evidence-M. Monir, P 145